The first step in alcohol metabolism by the liver is the formation of acetaldehyde from alcohol, a chemical reaction catalyzed by:
1. Cytochrome P450
2. NADPH-cytochrome reductase P450
3. Alcohol oxygenase
4. Alcohol dehydrogenase

Correct answer: 4. Alcohol dehydrogenase

Explanation: Ans. D. Alcohol dehydrogenaseAlcohol dehydrogenase catalyzes the conversion of alcohol to acetaldehyde, which is then converted to acetate. Acetate is then metabolized by hepatocytes. Cytochrome P450 is a primary component of the oxidative enzyme system involved in the metabolism of drugs. NADPH-cytochrome P450 reductase is an enzyme involved in phase I reactions of drug metabolism. There is no such enzyme as alcohol oxygenase. Glycogen phosphorylase is an enzyme involved in glycogen breakdown, not alcohol metabolism.